Most common location of accessory spleen
1. Hilum of spleen
2. Greater omentum
3. Lesser omentum
4. Duodenum

Correct answer: 1. Hilum of spleen

Explanation: Accessory spleen, in other words supernumerary spleens, splenunculi, or splenules, results from the failure of fusion of the primordial splenic buds in the dorsal mesogastrium during the fifth week of fetal life. Incidence of accessory spleen in the population is 10%-30% of patients in autopsy series and 16% of patients undergoing contrast enhanced abdominal CT. Although the most common location for an accessory spleen is splenic hilum (75%) and pancreatic tail (25%) , it can occur anywhere in the abdomen including gastrosplenic or splenorenal ligaments, wall of stomach or bowel , greater omentum or the mesentery, and even in the pelvis and scrotum. Accessory spleen usually measures 1 cm in diameter, but its size varies from a few milimeters to centimeters. Also the number of accessory spleens can vary from one to six . Accessory spleens are usually incidentally detected and asymptomatic, but in case of unexpected locations, accessory spleen can be of clinical importance. Ref - radiologyassistant.com